Parts of fallopian tube from ovary to uterus are:
1. Infundibulum-isthmus-ampullary -intramural
2. Ampulla -isthmus -intramural -infundibulum
3. Infundibulum -Ampulla- Isthmus -Intramural
4. Isthmus- Ampulla- Infundibulum- Intramural

Correct answer: 3. Infundibulum -Ampulla- Isthmus -Intramural

Explanation: There are four parts of fallopian tube. From lateral to medial: 1. Infundibulum measuring about 1.25 cm long with a maximum diameter of 6 mm. 2. Ampulla- tortuous part & measures about 5 cm in length.(longest part) 3. Isthmus - almost straight and measures about 3-4 cm in length & 2 mm in diameter. 4. Intramural/Interstitial lying in uterine wall & measures 1.25 cm in length & 1 mm in diameter. fig:-parts of fallopian tube